All of the following are true about pseudohallucinations except ?
1. Arises in inner subjective self
2. Patient describes the sensations being perceived by mind eye
3. Are under voluntary control
4. Distressing flashback of PTSD is a n example

Correct answer: 3. Are under voluntary control

Explanation: Ans.C. Are under voluntary controlPseudohallucinationPseudohallucination is a perceptual experience, which differs from a hallucination in that it appears to arise in the inner subjective space, not through one of the external sensory organs.Patients tend to describe these sensations as being perceived with the 'inner eye' or 'mind eye' (or ear).However, like true hallucinations pseudohallucinations are not under voluntary control.Example include: Distressing flashbacks in post-traumatic stress disorder or the recently bereaved widow waking up to briefly 'see' her husband sitting at the foot of the bed,